Cardiac chambers are opened in autopsy in which order?i) Left atrium ii) Left ventricleiii) Right atrium iv) Right ventricle
1. i - ii - iii - iv
2. iii - iv - i - ii
3. i - iii - ii - iv
4. ii - iv - iii - i

Correct answer: 2. iii - iv - i - ii

Explanation: Ans. is 'b' i.e., iii - iv - i - ii Principle of autopsy of heartHeart is opened in the direction of the flow of blood with the enterotome.The right atrium is cut between the openings of superior and inferior vena cavae.A small secondary incision is made to open the auricular appendage to detect thrombiIn opening the right ventricle, the lateral margin of right ventricle faces the dissector, the atria being directed towards him.The left atrium is cut between the openings of the pulmonary veins. Then, the left atrium is cut along its lateral wall. This incision extends through the mitral orifice, and passes along lateral margin of the left ventricle up to the apex.The next incision extends from the apex along the interventricular septum into the aorta, opening the aortic valve.